Management of hemarhrosis
1. Compression bandage
2. Needle aspiration
3. P.O.P. cast
4. All

Correct answer: 4. All

Explanation: A i.e. Compression bandage; B i.e. Needle aspiration; C i.e. P.O.P. cast